What is the mechanism by which Phenoparbitons and Metalloporphysin act respectively to reduce bilirubin levels in neonatal jaundice
1. Enhance secretion of conjugated bilirubin and induce bilirubin conjugation by UDP Glucuronyltransferare
2. Induce bilirubin conjugation by UDP Glucuronyltransferare and competitive inhibition of hemeoxygenase
3. Induce bilirubin conjugation by UDP Glucuronyltransferare and enhance secretion of conjugated bilirubin
4. Competitive inhibition of hemeomygenase and enhance secretion of conjugated bilirubin

Correct answer: 2. Induce bilirubin conjugation by UDP Glucuronyltransferare and competitive inhibition of hemeoxygenase

Explanation: Phenobarbitone:
It induces UDP Glucuromyltransferase
↓
Increase Bilirubin conjugation
Metalloporphyrins:
It is competitive inhibitor of hence oxygenase, which converts hence to bilirubin.